Wear and tear pigment in the body refers to
1. Lipochrome
2. Melanin
3. Anthracotic pigment
4. Haemosiderin

Correct answer: 1. Lipochrome

Explanation: Lipofuscin, or "wear-and-tear pigment," is an insoluble brownish-yellow granular intracellular material that accumulates in a variety of tissues (particularly the heart, liver, and brain) as a function of age or atrophy.Lipofuscin represents complexes of lipid and protein that derive from the free radical-catalyzed peroxidation of polyunsaturated lipids of subcellular membranes. It is not injurious to the cell but is a marker of past free radical injury.( Robbins Basic Pathology, 9th edition, page 24 )